The production rate of the following hormone near term, is the greatest of any known hormone in humans (approximately lgm/day)-
1. Relaxin
2. Progesterone
3. hCG
4. hPL

Correct answer: 4. hPL

Explanation: Ans. is 'd' i.e., hPL * Human placenta lactogen (hPL) was named so, because of its potent lactogenic & growth hormone like bioactivity, as well as immunochemical resemblance to human growth hormone.* It is detected as early as 2nd or 3rd week after fertilization.* It is a single, nonglycosylated polypeptide chain with a molecular weight of 22,279 Da. It is derived from a 25,000 Da precursor.* Maternal plasma concentrations are linked to placental mass 8c they rise steadily till 34-36 weeks of gestation.* The hPL production rate near term is by far the greatest of any known hormone in humans- approximately 1gm/day.* The half-life in maternal plasma is between 10 & 30 minutes. The functions of hPL are:i) It decreases maternal insulin sensitivity (increases insulin resistance) 8c ensures nutrient flow to the fetus.ii) It promotes maternal lipolysis with the release of free fatty acids. This provides an energy source for maternal metabolism 8c fetal nutrition.iii) It favors protein synthesis 8c provides a readily available amino acid source to the fetus.iv) Potent angiogenic hormone, 8c may serve a function in fetal vasculature formation.